Which of the following is known as "Gateway of tears"?
1. Killian's dehiscence
2. Rathke's pouch
3. Waldeyer's ring
4. Sinus of Morgagni

Correct answer: 1. Killian's dehiscence

Explanation: Inferior constrictor muscle has two parts: Thryopharygeus with oblique fibres Cricopharyngeus with transverse fibres Between these two parts exists a potential gap called Killian's Dehiscence also called "Gateway of tears" - As perforation can occur at this site during esophagectomy. (Ref: Textbook of diseases of ENT, PL Dhingra, 7th edition, pg no. 310)